Which one of the following is not seen in pheochromocytoma
1. Hypertension
2. Episodic palpitations
3. Weight loss
4. Diarrhea

Correct answer: 4. Diarrhea

Explanation: Refer Robbins page no 1135 The dominant clinical manifestation of pheochromocytoma is hypertension observed in 90 percnt of patients.Approximately two thirds of patients with hypertension demonstrate paroxysmal episodes which are described as an abrupt precipitation elevation in blood pressure